Ligamentum terea is formed after ':
1. Obliteration of the umbilical vein
2. Obliteration of the ductus venous
3. Obliteration of the ductus arteriosus
4. Obliteration of the hypogastric artery

Correct answer: 1. Obliteration of the umbilical vein

Explanation: Obliteration of the umbilical vein